The premolar with the occlusal groove pattern that may simulate the letter "Y" is:
1. Maxillary first
2. Maxillary second
3. Mandibular second
4. Mandibular first

Correct answer: 3. Mandibular second